Rapid growing non-tuberculous mycobacteria causing lung infection are all except:
1. M. kansasii
2. M. chelonae
3. M. fortuitum
4. M. abscessus

Correct answer: 1. M. kansasii

Explanation: Ans. (a) M. Kansasii As mentioned above M Kansasii is not a rapid grower Rapid Growing Mycobacteria Heterogeneous group to mycobacteria capable of rapid growth, colonies appearing within seven days of incubation. Important members include: M. phlei : Saprophyte M. fortuitum : Chronic abscess, pulmonary lesions M. chelonae : Chronic abscess M. smegmatis : Round in smegma M. vaccae : Immunomodulator that stimulates protectine immune response in tuberculosis M. abscessus : Oesophageal motility disorders such as achlasia